JC virus causes
1. Progressive Multifocal Leukoencephalopathy (PML)
2. Subacute Sclerosing Panencephalitis (SSPE)
3. Subacute Encephalitis
4. Tropical spastic paraparesis

Correct answer: 1. Progressive Multifocal Leukoencephalopathy (PML)

Explanation: (A) Progressive Multifocal Leukoencephalopathy (PML) # JC virus (JCV): JCV is a type of human polyomavirus (formerly known as papovavirus) and is genetically similar to BK virus and SV40. It was discovered in 1971 and named after the two initials of a patient with progressive multifocal leukoencephalopa:hy (PML). The virus causes PML and other diseases only in cases of immunodeficiency, as in AIDS or during treatment with drugs intended to induce a state of immunosuppression (e.g. organ transplant patients).> Subacute Sclerosing Panencephalitis (SSPE) is a rare progressive clinical syndrome characterized by cognitive decline, spasticity of limbs, and seizures and caused by early-age acute infection with measles.> Subacute Encephalitis or HIV Meningoencephalitis or AIDS dementia complex (ADC) characterized by insidiously beginning dementia, with mental slowing, memory loss, and mood disturbances, such as apathy & depression; with motor abnormalities, ataxia, bladder & bowel incontinence, and seizure.> Tropical spastic paraparesis or HTLV -1 associated myelopathy (HAM) or Vascular Myelopathy is a disorder of spinal cord is found in 20%-30% of patients with AIDS & histopathological findings resemble subacute combined degeneration, though serum levels of vitamin B12 are normal.